Infantile spasms with tuberous sclerosis DOC (REPEAT)
1. Vigabatrin
2. Valproate
3. Barbiturate
4. Ethosuximide

Correct answer: 1. Vigabatrin